Third generation sealants are cured by
1. Self-cured
2. Visible light
3. UV light
4. Natural light

Correct answer: 2. Visible light